Site of knot in classical hanging is ?
1. Nape of neck
2. Right side of neck
3. Left side of neck
4. Below the chin

Correct answer: 1. Nape of neck

Explanation: Ans. is 'a' i.e., Nape of neck Typical hanging : The ligature runs from the midline above the thyroid cartilage, symmetrically upward on both side of neck to the occipital region, the point of suspension (knot of ligature) being on occiput (at nape of neck).Atypical hanging : Any variation from typical knot site (i.e. other than occiput/nape of neck) is called atypical hanging. Most common site of knot is near one side of mastoid process or angle of mandible.